Scatologia is?
1. Eating disorder
2. Sleep disorder
3. Paraphilia
4. Defense mechanism

Correct answer: 3. Paraphilia

Explanation: Ans. C. ParaphiliaScatologia, also called Coprolalia, is a dent sexual practice in which sexual pleasure is obtained through the compulsive use of obscene language.The affected person commonly satisfies his desires through obscene telephone calls, usually to strangers.